Telescopic test is useful to diagnose?
1. Perthes disease
2. Intracapsular fracture neck of femur
3. Malunited trochanteric fracture
4. Ankylosis of hip joint

Correct answer: 2. Intracapsular fracture neck of femur

Explanation: In supine position, hip and knee are flexed as much as 90 degree and thigh is pulled up and pushed down. Even in normal condition a slight amount of excursion of trochanter can be felt by other hand. If excursion is more, then this indicates instability of the hip joint such as: Old unreduced posterior dislocation Loss of neck and head in old fracture neck femur paralytic hip Ref: Clinical orthopedic Diagnosis: Sureshwar Pandey 2/e, Page 262.